Most common organ involved by congenital TB is:
1. Liver
2. Pancreas
3. Kidney
4. Lung

Correct answer: 1. Liver

Explanation: Most common organ involved by congenital TB is: Liver